Nephrotic syndrome is the hall mark of the following primary kidney diseases except
1. Membranous Glomerulopathy
2. IgA nephropathy
3. Minimal change disease
4. Focal segmental Glomerulosclerosis

Correct answer: 2. IgA nephropathy

Explanation: Ans. is 'b' i.e., IgA nephropathy Most common presentation of IgA nephropathy is grass hematuria. It is the most common form of glomerulonephritis worldwide Causes of Nephrotic syndrome Minimal change disease Focal segmental glomerulosclerosis o Membranous glomerulonephritis o Diabetes nephropathy AL and AA amyloidosis Light chain deposition disease Fibrillary immunotactoid disease